45X0 seen in
1. Down's syndrome
2. Turner's syndrome
3. Klinefelter's syndrome
4. True hermaphroditism

Correct answer: 2. Turner's syndrome

Explanation: (B) Turner's syndrome CLINICAL FEATURES OF THE DISORDERS OF CHROMOSOMAL SEXDisorderCommon Chromosomal Complement* Klinefelter syndrome7, XXY or 46, XY/47.XXY* Turner syndrome45, X or 46, XX/45, X* Mixed gonadal dysgenesis46, XY/45, X* True hermaphroditism46, XY/46, XX